The best treatment for Kawasaki disease is:
1. Aspirin
2. I.V. immunoglobulins
3. Corticosteroids
4. Methotrexate

Correct answer: 2. I.V. immunoglobulins

Explanation: Kawasaki disease causes inflammation in the walls of medium-sized arteries throughout the body. It primarily affects children. The inflammation tends to affect the coronary arteries, which supply blood to the heart muscle. Kawasaki disease is sometimes called mucocutaneous lymph node syndrome because it also affects lymph nodes, skin, and the mucous membranes inside the mouth, nose, and throat. Signs of Kawasaki disease, such as a high fever and peeling skin, can be frightening. Doctor may recommend: Gamma globulin. Infusion of an immune protein (gamma globulin) through a vein (intravenously) can lower the risk of coronary artery problems. Aspirin. High doses of aspirin may help treat inflammation. Aspirin can also decrease pain and joint inflammation, as well as reduce the fever. Kawasaki treatment is a rare exception to the rule against aspirin use in children but only when given under the supervision of your child's doctor. Because of the risk of serious complications, initial treatment for Kawasaki disease usually is given in a hospital. REF KD Tripathi 8th ed